A child is spinnned around by holding his hand by father. While doing this the child started crying and does not allow his father to touch his elbow. The diagnosis is
1. Pulled elbow
2. Radial head dislocation
3. Annular ligament tear
4. Fracture olecranon process

Correct answer: 1. Pulled elbow

Explanation: Refer Maheshwari 6th/e Clinical features of pulled elbow History of sudden axial pull on extended elbow Immediately child starts crying and is unable to move the affected elbow The forearm is held In pronation and extension and any attempt to supinate is resisted Child does not allow to touch the affected limb X ray seems to be normal